A patient Amit Kumar is suffering from atherosclerosis. Which of the following is the most beneficial drug for prevention of stroke in this patient?
1. Aspirin
2. Warfarin
3. Low dose subcutaneous heparin
4. Digoxin

Correct answer: 1. Aspirin

Explanation: Antiplatelet drugs are used for the prophylaxis of arterial thrombotic conditions like stroke and MI. Atrial fibrillation increases the risk of thromboembolism and can result in stroke.